What is true of ivermectin?
1. It is the most effective drug for strongyloidosis
2. It is the drug of choice for onchocerciasis
3. it can be used to treat swcabies
4. All of the above

Correct answer: 4. All of the above

Explanation: (Ref: KDT 6/e p686) Ivermectin is the drug of choice for onchocerciasis (river blindness) and strongyloidosis. It is also effective against other filarial worms It can also be used orally for the treatment of scabies and pediculosis DEC us contraindicated in onchocerciasis